10 years old child with 10 days continuous fever with soft, enlarged spleen, diagnosis is –
1. Enteric fever
2. Malarial
3. Hodgkins disease
4. Meningitis

Correct answer: 1. Enteric fever